Beta 2 microglobulin is a tumour marker for:
1. Multiple myeloma
2. Lung cancer
3. Colonic neoplasm
4. Choriocarcinoma

Correct answer: 1. Multiple myeloma

Explanation: Increased levels of microglobulin are seen in the urine and serum of patients with multiple myeloma. Serum beta 2 microglobulin is the single most powerful predictor of survival and can substitute for staging. (ref Harsh mohan 6th/383,Robbins 9th/)